Folinic acid is given for which toxicity:
1. Methotrexate
2. Cisplatin
3. Doxorubicin
4. Cyclophosphamide

Correct answer: 1. Methotrexate

Explanation: Ans. A. MethotrexateMethotrexate is drug which inhibit the dihydrofolate reductase enzyme which further blocks the conversion of dihydrofolate to tetrahydrofolate. So in case of toxicity we give tetrahydrofolate from outside in form of folinic acid or leucovorin.